A 22-year-old women developed small itchy wheals and rash after physical exertion, on sun exposure, on eating spicy food and on anger. Most likely diagnosis is?
1. Chronic idiopathic urtricaria
2. Photodermatitis
3. Solar urtricaria
4. Cholinergic urtricaria

Correct answer: 4. Cholinergic urtricaria

Explanation: Ans. d. Cholinergic urtricariaThe question states that there is urticarial on exposure to sunlight. Both solar and cholinergic urticarias are physical urticarias. Other provocative symptoms like emotions and spicy food points towards Cholinergic Urticaria. Also to differentiate these urticarias, provocation tests are performed.